Which perforation of the tympanic membrane is most commonly seen with tubotympanic CSOM?
1. Central
2. Anterosuperior
3. Posterosuperior
4. Posteroinferior

Correct answer: 1. Central

Explanation: Tubotympanic CSOMIt is also known as safe ear as it does not cause any serious complicationsInfection is limited to anteroinferior part of middle ear cleft (eustachian tube & mesotympanum) and is associated with central perforation in pars tensa of the tympanic membraneRef: PL Dhingra, Diseases of Ear, Nose & Throat, 7th edition, pg no. 75